Ring scotoma is characteristically seen during the progression of the following condition:
1. Retinitis pigmentosa
2. Night blindness
3. Severe myopia
4. Angle closure glaucoma

Correct answer: 1. Retinitis pigmentosa

Explanation: Retinitis pigmentosa is a disparate group of rod-cone dystrophies characterized by progressive night blindness, visual field constriction with a ring scotoma, loss of acuity, and an abnormal electroretinogram (ERG). It occurs sporadically or in an autosomal recessive, dominant, or X-linked pattern. Irregular black deposits of clumped pigment in the peripheral retina, called bone spicules because of their vague resemblance to the spicules of cancellous bone, give the disease its name. Ref: Horton J.C. (2012). Chapter 28. Disorders of the Eye. In D.L. Longo, A.S. Fauci, D.L. Kasper, S.L. Hauser, J.L. Jameson, J. Loscalzo (Eds), Harrison's Principles of Internal Medicine, 18e.